First sign of sexual maturity in boys is:
1. Increase in height
2. Increase in facial hairs
3. Testicular enlargement
4. Axillary hairs

Correct answer: 3. Testicular enlargement

Explanation: Ans. C: Testicular Enlargement In boys, testicular enlargement is the first physical manifestation of puberty (and is termed gonadarche). Testes in prepubertal boys change little in size from about 1 year of age to the onset of puberty, averaging about 2-3 cm in length and about 1.5-2 cm in width. Testicular size continues to increase throughout puberty, reaching maximal adult size about 6 years after the onset of puberty